Treatment of choice for Intrahepatic Cholestasis in Pregnancy is:
1. Cholestyramine
2. Ursodiol (Ursodeoxycholic acid)
3. Corticosteroids (Dexamethasone)
4. Antihistaminics

Correct answer: 2. Ursodiol (Ursodeoxycholic acid)

Explanation: Ursodeoxycholic acid (10-15 mg/kg/day) is the drug of choice in the treatment of intrahepatic cholestasis in pregnancy. It relieves pruritus, reduces bile salt levels in maternal serum and may reduce the frequency of fetal complications. It improves serum liver test and liver histology in cholestatic disease. Ref: Oxford Textbook of Medicine, 4th Edition, Pages 422 ; Textbook of Obstetrics By DC Dutta, 6th Edition, Page 291 ; Bile Acids and Pregnancy By U. Leuschner, P. A. Berg, J. Holtmeier, 2002, Page 36.